Requirement of potassium in child is:
1. 1-2 mEq/kg
2. 4-7 mEq/kg
3. 10-12 mEq/kg
4. 13-14 mEq/kg

Correct answer: 1. 1-2 mEq/kg

Explanation: Daily requirement of potassium in a child is 1-2 mEq/kg/day Sodium - 3 mEq/kg/day.